GnRH agonist therapy for leiomyoma is given for
1. 2 → 4 months
2. 3 → 6 months
3. 4 → 8 months
4. 5 → 10 months

Correct answer: 2. 3 → 6 months

Explanation: GnRH agonist treatment is continued for 3 → 6 months.